Cyclic AMP acts as the second messenger for:
1. ADH
2. Glucagon
3. Calcitonin
4. All of these

Correct answer: 4. All of these

Explanation: Ans. D. All of theseCyclic AMP is a very important second messenger synthesized by ATP in the presence of adenylate cyclase. Here the hormones bind to the cell surface (Plasma membrane) receptors and stimulate the release of second messengers.Second MessengerHormonesc-AMPCatechol amines, ACTH, hCGADH, Calcitonin, FSH, TSH, PTH, GlucagonPhosphatidyl inositol/calciumTRH, GnRH, Oxytocin, ADH, Gastrin, CCK, Angiotensin IIKinase or Phosphatase cascadeInsulin, Prolactin, EGF, Fibroblast growth factor.